Osmotic damage is operative in all of the following complications of diabetes mellitus EXCEPT
1. The formation of cataracts
2. Insulin receptor deficiency
3. Microaneurysms in retinal vessels
4. Peripheral neuropathy

Correct answer: 2. Insulin receptor deficiency

Explanation: Osmotic damage is inoperative in insulin- receptor deficiency. Insulin-receptor deficiency is the result of an increase in adipose, which down regulates receptor synthesis, and chronic elevation of glucose (glucose toxicity), which renders the receptors less receptive to insulin.